Which Fat soluble vitamin is functioning like a "Hormone":
1. Vitamin A
2. Vitamin D
3. Vitamin E
4. Vitamin K

Correct answer: 2. Vitamin D

Explanation: Vitamin D